Carcinoma that doesnot arise from thyroid follicles
1. Medullary carcinoma-thyroid
2. Papillary carcinoma-thyroid
3. Anaplastic carcinoma-thyroid
4. Hurthle cell carcinoma-thyroid

Correct answer: 1. Medullary carcinoma-thyroid

Explanation: Medullary carcinoma thyroid arise from parafollicular 'C' cells. 20-30% of these occur in familial basis as part of MEN 2A and MEN 2B syndromes Papillary, follicular and anaplastic carcinomas arise from follicular cells Hurthle cell crcinoma is a subtype of follicular carcinoma and has more aggresive biological behaviour, compared to other follicular carcinomas of thyroid.